Which of the following is true statement regarding Rapport?
1. Feeling of harmony that promotes a therapeutic relationship
2. Patient projecting feelings from past relationships to the doctor
3. Doctor projecting feelings onto the patient
4. Not significant in obtaining the history

Correct answer: 1. Feeling of harmony that promotes a therapeutic relationship

Explanation: Ans. A. Feeling of harmony that promotes a therapeutic relationshipRapport is the spontaneous, conscious feeling of harmony that promotes the development of a therapeutic alliance. It implies an understanding and trust between the doctor and patient. Frequently, the doctor is the only person to whom a patient can talk about things that he or she cannot tell anyone else. Most patients trust their doctors to keep secrets, and this confidence must not be disobeyed. Transference describes the process of patients unconsciously projecting feelings from their past relationships to the doctor. When doctors unconsciously project their feelings to the patient, the process is called countertransference; these feelings are not directly related to rapport. For example, a patient may remind the doctor of his father's narcissism.